Milk ring test is seen in ?
1. Brucellosis
2. Bacteroides
3. Tuberculosis
4. Salmonellosis

Correct answer: 1. Brucellosis

Explanation: Ans. is 'a' i.e., Brucellosis Tests for detection of brucellosis in herds of cattle. Rapid plate agglutination test Rose bengal card test Tests to detect antibodies in milk. Milk ring test Whey agglutination test